. Gartners cyst can be differentiated from cystocele by all except:
1. Not reducible
2. No impulse on coughing
3. Presence of rugosities of overlying vaginal mucosa
4. None of above

Correct answer: 3. Presence of rugosities of overlying vaginal mucosa